The maturation index on vaginal cytology is a diagnostic method for evaluating the:
1. Adequacy of cytotoxic drug therapy
2. Gender of an anatomically abnormal child
3. Malignant change at squamocolumnar junction of cervix
4. Endocrine status of cervix

Correct answer: 4. Endocrine status of cervix